The efferent fiber bundle of the substantia nigra transmits dopamine to one of the following areas
1. Thalamus
2. Corpus striatum
3. Tegmentum of pons
4. Tectum of midbrain

Correct answer: 2. Corpus striatum

Explanation: Connections in Basal ganglia

Substantia nigra pars compacta (SNPC) to Striatum (Caudate nucleus & Putamen)- Dopaminergic 
Striatum to Substantia nigra pars reticulata (SNPR)- GABA 
Striatum to Globus pallidus inner segment & external segment- GABA 
Globus pallidus external segment to subthalamic nucleus and internal segment- GABA​
Subthalamic nucleus to Globus pallidus external segment and internal segment.- Glutamate​
Within the striatum- Cholinergic interneurons.